For myringoplasty, Graft material of choice is -
1. Peritoneum
2. Palmar fascia
3. Temporalis fascia
4. fascia lata

Correct answer: 3. Temporalis fascia

Explanation: Temporalis fascia is the most commonly used graft material for tympanoplasty.